Carcinoma endometrium with positive superficial inguinal lymph node status is classified as stage :
1. 1
2. 2
3. 3
4. 4

Correct answer: 4. 4

Explanation: Inguinal Lymph node involvement is important in all the gynaecological cancers and its now Stage IV B for Endometrial and Ovarian cancers